Commonest site of ischemic colitis
1. Hepatic flexure
2. Splenic flexure
3. Transverse colon
4. Sigmoid colon

Correct answer: 2. Splenic flexure